Eruption of Maxillary 2nd molar occur at
1. 8-9 year
2. 10-11 year
3. 19-20 year
4. 12-13 year

Correct answer: 4. 12-13 year